Bradycardia is common after injection of
1. Midazolam
2. Succinylcholine
3. Dopamine
4. Isoprenaline

Correct answer: 2. Succinylcholine

Explanation: Succinylchole is the only muscle relaxant, which stimulates vague nerve - BRADYCARDIA.(attenuates tachycardia and hypertension) This effect is more predominant in the pediatric age group. Therefore, I. V. Atropine is given prior to the first dose of scholine in the children and prior to the second dose in the adults. Ref.morgan 5th/e